Pseudoproptosis caused by-
1. Buphthalmos
2. Meningioma of optic nerve
3. Orbital cellulitis
4. Dermoid cyst

Correct answer: 1. Buphthalmos

Explanation: *Pseudoproptosis is a condition in which the eyeball appears to be proptosed but actually there is no forward displacement. The causes are Buphthalmos (congenital glaucoma), high myopia, upper lid retraction, Paralysis of the extrinsic muscles, stimulation of muller muscle by cocain, shallow orbit as in craniofacial dysostosis. Ref: Parson's 22nd/e p.304